A patyient needs antibiotic treatment for artificial valve, culture-positive infective enterococcal endocarditis. His medical history includes severe anaphylactic reaction to penbicillin G during the past year. The best approach would be treatment with:
1. Amoxicillin-clavulanic acid
2. Aztreonam
3. Cefazolin plus gentamicin
4. Vancomycin

Correct answer: 4. Vancomycin

Explanation: (Ref: KDT 6/e p732) Severe allergy to penicillins rule out the use of amoxicillin and cefazolin. Vancomycin is highly effective against MRSA and enterococcal infections. Drugs for VRSA and VRE (Vancomcin Resistant Enterococcus faecalis) include linezolid and daptomycin.